The Tumor causing Polycythemia due to erythropoietin production is:
1. Cerebellar hemangioma
2. Medulloblastoma
3. Ependymoma
4. Oligodendroglioma

Correct answer: 1. Cerebellar hemangioma

Explanation: Cerebellar hemangioma